Eukaryotes are different in causing infection because -
1. Divide by biniary fission
2. Highly structured cell with organized cell organelles
3. Dont have all organelles
4. Evolutionally ancient

Correct answer: 2. Highly structured cell with organized cell organelles

Explanation: Ans. is 'b' i.e., Highly structured cell with organized cell organelles Prokary otes and EukaryotesAll cells fall into one of the two major classification- 1 )Prokaryotes or 2) EukaryotesProkaryoteso Prokaryotes are evolutionally ancient, i.e. they are first living organisms to evolve.o They were here first and for billions of years were the only form of life.o Prokaryotic cells are not carrying ot life processes by themselves. The reason is that they don't have all the organelles (e.g. nucleus, mitochondria, golgi apparatus etc.) required to carry out life processes. So, these cells are dependent on other cells in order to form what is necessary for the life processes,o Prokaryotes divide by binary fission.o Prokaryotes are always single celled except wrhen they exist in colonies.o Examples- bacteria (including chlamydia & mycoplasma). Blue green algae, ArcheaEukaryoteso Eukaryotes are more complex, evolving from a prokary ote like precdecessor.o Eukaryotic ceils contain all the organelles required to carry out the processes of life.o Eukaryotes may be single ceiled or multicelled.o The most noticable feature that differentiates eukaryotes from prokaryotes is the presence of nucleus.o Eukaryotes divide by either mitosis or meiosis.o Examples- Fungi, Algae other than blue green algae, protozoa.